A 55 year old post menopausal woman, on hormone replacement therapy (H), presents with heaviness in both breasts. A screening mammogram reveals a high density speculated mass with cluster of pleomorphic microcalcification and ipsilateral large axillary lymph nodes. The mass described here most likely represents -
1. Cystosarcoma phylloides
2. Lymphoma
3. Fibroadenoma
4. Carcinoma

Correct answer: 4. Carcinoma

Explanation: Ans. is 'd' i.e. Carcinoma H/O of hormone replacement therapy and characteristic features on mammogram confirm the diagnosis of Breast carcinoma Mammographic findings of high density, spiculated mass with clusters of pleomorphic microcalcification correlate with carcinoma breast. Note : In hormone replacement therapy estrogen is given and its use has been associated with these risks Predisposition to breast carcinoma Gallstones Worsening of migraine